All are adverse effects of cyclosporin, EXCEPT:
1. Hypertension
2. Gingival hyperplasia
3. Hyperlipidemia
4. Hypermagnesemia

Correct answer: 4. Hypermagnesemia

Explanation: The most important adverse effects of cyclosporin are renal dysfunction leading to hyperuricemia, hyperkalemia, hypomagnesemia, hypertension, GIT side effects, gingival hyperplasia, hyperlipidemia, head ache and tremor. Ref: Journal of AAD, 2010, Vol-3, 949-72